Silhouetting of the left border of heart (silhouette sign positive) on chest radiograph indicates what pathology
1. Upper lobe
2. Hilar
3. Lingular
4. Lower lobe

Correct answer: 3. Lingular